Anaesthetic agent that predisposes to maximum arrhythmias  –
1. Isoflurance
2. Enflurane
3. Halothane
4. Ether

Correct answer: 3. Halothane

Explanation: Amongst the inhalational agents, Halothane has the maximum propensity to sensitize heart to adrenaline → Arrhythmia can occur.